Apolipoprotein E is rich in -
1. Lysine
2. Arginine
3. Histidine
4. Methionine

Correct answer: 2. Arginine

Explanation: Ans. is 'b' i.e., Arginine o Arginine rich apo-E is isolated from VLDL.o It contains arginine to the extent of 10 per cent of the total amino acids and accounts for 5 to 10 per cent of total VLDL apoproteins in normal subjects.